Little finger of the hand corresponds to which dermatome?
1. C6 dermatome
2. C7 derma tome
3. C8 dermatome
4. T1 dermatome

Correct answer: 3. C8 dermatome

Explanation: C i.e. C8 dermatome According to International Standards for Classification of Spinal Cord Injury (ISCSCI) dorsal surface of proximal phalanx of thumb corresponds to C6, middle finger to C7 and little finger to C8.